Secondary action of Inferior oblique
1. Intortion
2. Extortion
3. Elevation
4. Depression

Correct answer: 3. Elevation

Explanation: Inferior oblique
1o - Extortion
2o - Elevation
3o - Abduction.